In malignant HTN, seen is -
1. Hyalinised arterioles
2. Replacement by necrotizing arteriolitis
3. Calcification
4. All

Correct answer: 2. Replacement by necrotizing arteriolitis

Explanation: Ans. is 'b' i.e., Replacement by necrotizing arteriolitis The changes described above were in small vessels (arterioles). Besides these, hypertension also causes - o Atherosclerosis in large arteries. o Degenerative changes in the walls of large and medium arteries that potentiate both aortic dissection and cerebrovascular hemorrhage.